Which of the following drug is a Potassium channel activator?
1. Trimetazidine
2. Ivabradine
3. Nicorandil
4. Detanonoate

Correct answer: 3. Nicorandil

Explanation: Ans. C. Nicorandil1. It has vasodilating properties in normal coronary arteries.2. It reduces both preload and afterload.3. It also provides some myocardial protection via preconditioning by activation of cardiac KATP channels.4. Its significant reduction in relative risk of fatal and nonfatal coronary events in patients receiving the drug.